True about Pringles maneuver:
1. Clamping in foremen of Winslow and we occlude portal triad and IVC
2. Controls bleeding from portal vein, IVC & hepatic artery
3. Pringles maneuver is also known as total inflow occlusion
4. All are true

Correct answer: 3. Pringles maneuver is also known as total inflow occlusion

Explanation: PRINGLE's Maneuver Aka Total Inflow Occlusion Clamping in foramen of Winslow and we occlude the Portal triad. It controls bleeding from Portal Vein and Hepatic Artery. Bleeding is effectively controlled from Portal Vein as compared to Hepatic Artery. It doesn't control bleeding from IVC and Hepatic Vein